A 33 year old womau has experienced episodes of fatigue, pleural effusion, pericardial effusion and carpal tunnel syndrome and macrocytic anemia. Best test for diagnosis shall be -
1. Anti-beta 2 phospholipid antibodies
2. Anti-smith antibody
3. Antinulear antibody
4. Assay for thyroid hormones

Correct answer: 4. Assay for thyroid hormones

Explanation: Ans. is 'd' i.e., Assay for thyroid hormones o On the first instance, it appears a case of hypothyroidism.o But, when you look closely it seems a case of hypothyroidism.o Pleural and also pericardial and peritoneal effusions can occur in patients with severe chronic hypothyroidism.o Carpal tunnel syndrome is a common complication of hypothyroidism and is often reversible with thyroid hormone therapy.o Normally hypothyroidism is associated with nonnochromic anemia but may sometimes also cause macrocytic anemia.